Scaphoid fracture is most common in -
1. Proximal pole
2. Waist
3. Distal pole
4. Tuberosity

Correct answer: 2. Waist

Explanation: Ans. is 'b' i.e., Waist * Most common site of scaphoid fracture is the waist of the scaphoid (70%).* Other sites of fracture are proximal pole (20%), distal body (10%), tuberosity, osteochondral fracture.